Polychlorinated hydrocarbon is:
1. Parathion
2. Malathion
3. Diazinon
4. Endrin

Correct answer: 4. Endrin

Explanation: Ans. Endrin